The case fatality rate is-
1. Severity of disease
2. Communicability of disease
3. Burden of disease
4. None

Correct answer: 1. Severity of disease

Explanation: Case fatality rate (ratio)

CFR represents the killing power (severity) of a disease.